The most important property in determining the induction of a general anaesthetic agent:
1. Alveolar exchange
2. Pulmonary ventilation
3. Solubility of anaesthetic in blood
4. Solubility of anaesthetic in tissue

Correct answer: 3. Solubility of anaesthetic in blood

Explanation: INTRAVENOUS ANAESTHETICS are generally used for induction because of rapidity of onset of action. Except in children, they have largely replaced inhalational anaesthetics for induction. Anaesthesia is then usually maintained by an inhalational agent. They also serve to reduce the amount of maintenance anaesthetic. Supplemented with analgesics and muscle relaxants, they can also be used as the sole anaesthetic.
The most important property in determining the induction of a general anaesthetic agent is solubility of anaesthetic in blood.
Reference: Essentials of Medical Pharmacology Eighth Edition KD TRIPATHI page no 408